Which of the following is not true about Mebendazole?
1. Safe in pregnancy
2. Broad spectrum antihelminthic
3. Relatively low systemic bioavailability
4. Active against both larva and adult worm

Correct answer: 1. Safe in pregnancy

Explanation: Ans. is 'a' i.e., Safe in pregnancy "Safety of mebendazole during pregnancy is not known, but it is contraindicated on the basis of animal data". About other options o Mebendazole is a broad-spectrum antihelminthic. o Absorption of mebendazole from intestine is minimal - low bioavailability. o It is active against both larva and adult worms.